Which among the following is a contraindication for forceps ?
1. Face
2. Occipito posterior
3. Brow presentation
4. Aftercoming head

Correct answer: 3. Brow presentation

Explanation: Ans: c (Brow presentation) Ref: Dutta, 6th ed, p. 393The engaging diameter of head in brow presentation is mento vertical (14 cm), so there is no mechanism of labor in an average size baby with normal maternal pelvis in brow presentation. Persistent brow presentation is delivered by elective caesarean section.Conditions to be fulfilled prior to forceps operationF - favorable head position and stationO - open os(fully dilated)R - ruptured membranesC - contractions presentE - engaged head, empty bladderP - pelvimetry-no major CPDS - stirrups, lithotomy position